Most common cause of aortic dissection:
1. Syphilis
2. Hypertension
3. Marfan syndrome
4. Cystic medial necrosis

Correct answer: 2. Hypertension

Explanation: Ans. (b) HypertensionRef: Harrison 19th ed. /1640* 70% cases of aortic dissection occur due to hypertension. The tear occurs in tunica media and causes a tearing pain in the chest with maximum intensity in inter-scapular area. The IOC for aortic dissection is trans-esophageal echocardiography.* Marfan syndrome also can present with aortic dissection, which in fact is the leading cause of death in these patients. Syphilis involves the arch of aorta and causes an aneurysm that can rupture anyday.